Pulp Extirpating instrument among the following is
1. Barbed broach
2. Files
3. Reamers
4. Spreaders

Correct answer: 1. Barbed broach